All the disease caused by transfusion EXCEPT:
1. HIV
2. Hepatitis-B
3. Hepatitis-C
4. Plague

Correct answer: 4. Plague

Explanation: (Plague): Ref: 327 - AN 7thPlague: is a Zoonotic disease, The plague bacillus is naturally parasitic in rodents. Infection is transmitted among them by rat fleas.